What will be the colour of the tooth if the pulp canal obliterates?
1. Yellow
2. Grey
3. Black
4. Green

Correct answer: 1. Yellow